A 68-year-old man with prostate cancer and bone metastases presents with shaking chills and fever. The peripheral WBC count is 1,000/mL (normal =4,000 to 11,000/mL). Which of the following terms best describes this hematologic finding?
1. Leukocytosis
2. Leukopenia
3. Neutrophilia
4. Pancytopenia

Correct answer: 2. Leukopenia

Explanation: Leukopenia. Leukopenia is defined as an absolute decrease in the circulating WBC count. It is occasionally encountered under conditions of chronic inflammation, especially in patients who are malnourished or who suffer from a chronic debilitating disease. Leukopenia may also be caused by typhoid fever and certain viral and rickettsial infections. Leukocytosis (choice A) is defined as an absolute increase in the circulating WBC count. Neutrophilia (choice C) is defined as an absolute increase in the circulating neutrophil count. Pancytopenia (choice D) refers to decreased circulating levels of all formed elements in the blood.Diagnosis: Prostate cancer